Commonest cause of intussusception is -
1. Submucous lipoma
2. Meckel's diverticulum
3. Hypertrophy of submucous peyer's patches
4. colon Polyp

Correct answer: 3. Hypertrophy of submucous peyer's patches

Explanation: Intussusception most common cause of intestinal obstruction between 3 mo and 6 yr of age * 60% per cent of patients are younger than 1 yr * 80% of the cases occur before 24 mo * rare in neonates * incidence 1-4/1,000 live births * male:female ratio is 4:1 Treatment Reduction of an acute intussusception is an emergency procedure and performed immediately after diagnosis in preparation for possible surgery In patients with prolonged intussusception with signs of shock, peritoneal irritation, intestinal perforation, or pneumatosis intestinalis, hydrostatic reduction should not be attempted success rate of hydrostatic reduction under fluoroscopic or ultrasonic guidance is approximately 50% if symptoms are present longer than 48 hr and 75-80% if reduction is done within the first 48 hr Bowel perforations occur in 0.5-2.5% of attempted barium reductions. The perforation rate with air reduction ranges from 0.1-0.2% Ref: Sabiston 20th Ed. ; Schwartz 11th Ed.